Gallstones may be complicated by which of the following? 1. Pancreatitis 2. Choledocholithisasis 3. Acute cholecystitis 4. Carcinoma stomach 5. Carcinoma pancreas
1. 1,2 & 3
2. 2,3 & 4
3. 1,3 & 5
4. 2,3 & 5

Correct answer: 1. 1,2 & 3

Explanation: Effects and complications of gallbladder stones are: In Gallbladder In Bile ducts In the intestine Silent stone Acute cholecystitis Chronic cholecystitis Mucocele Empyema Perforation Gangrene Carcinoma Obstructive jaundice Cholangitis Acute pancreatitis Acute intestinal obstruction (Gallstone ileus) Ref: Bailey & Love 25/e, Page 1120.